A patient with malabsorption who develops a deficiency of vitamin A is most likely to subsequently develop:
1. Acute leukemia
2. Intestinal metaplasia
3. Megaloblastic anemia
4. Night blindness

Correct answer: 4. Night blindness

Explanation: The symptoms of vitamin A deficiency result from abnormalities involving the normal functions of vitamin A. These normal functions include maintaining mucus-secreting epithelium, restoring levels of the visual pigment rhodopsin, increasing immunity to infections, and acting as an antioxidant.